Things that speak for itself:
1. Doctrine of res ipsa loquitor
2. Doctrine of respondent superior
3. Doctrine of calculated risk
4. Doctrine of therapeutic misadventure

Correct answer: 1. Doctrine of res ipsa loquitor

Explanation: Ans. (A). Doctrine of Res ipsa loquitor(Ref: The Essentials of Forensic Medicine and Toxicology by KS Narayan Reddy. 33rd edition 2010. Pg: 40)FeatureCivil negligenceCriminal negligenceOffenceNo specific violation of the law is neededSpecific violation of a law to be provedNegligenceSimple absence of skill & careGross carelessness & inattention to patient's safetyTrial byCivil courtCriminal courtPatient's consent for the actGood defenseNot a defenseContributory negligenceGood defenseNot a defenseEvidencesStrong evidence is enoughShould be proven beyond reasonable doubtPunishmentFine304 A IPC ImprisonmentComplainantPatient is the complainantPublic prosecutor on behalf of Government